The following is true about prevalence and incidence -
1. Both are rates
2. Prevalence is a rate but incidence is not
3. Incidence is a rate but prevalence is not
4. Both are not rates

Correct answer: 3. Incidence is a rate but prevalence is not

Explanation: Incidence
Incidence = No of new cases during a given time period / Population at risk during that period x 100

Numerator (new cases) is a part of denominator (population at risk including those who have developed disease, i.e. the cases).
Time period is specified
Multiplier is 1000


All are features of rate, so incidence is a rate.

Prevalence → Prevalence is proportion.